Most common site of primary for intraocular metastasis is from:
1. Breast
2. Ovary
3. Cervix
4. Endometrium

Correct answer: 1. Breast

Explanation: Ans-A Breast (Ref: www.aao.org/publications/oncologists)The most common site of primary for intraocular metastasis is from breast'Breast cancer is the most common tumor to metastasize to the eye followed by lung cancer.'- www.aao.org/publications/oncologists'Ocular metastasis can represent the initial manifestation of carcinoma breast, till date breast cancer is a most common tumor to metastasize to the eye.'- eyewiki.aao.org/ Breast_ Carcinoma'Intraocular metastases are the most common malignancy of eye, and the primary- the cause is breast cancer.'- www.ncbi.nlm.nih.gov/pubmed/15456948MC intraocular malignancy* metastasisMC primary for ocular metastasis in females* CA BreastQMC primary for ocular metastasis in females* Lung cancer